Vagabond's disease is –
1. Pediculosis corporis
2. Scabies
3. Eczema
4. Ringworm

Correct answer: 1. Pediculosis corporis

Explanation: Body louse infestation (Pediculosis corporis) is also known as vagabond disease. Patients who have an infestation for many years can develop a condition called vagabond skin. The skin becomes thickened and darkened after years of bites and subsequent rubbing and excoriation.